Abtropfing affect is seen in
1. Junctional nevus
2. Pennphigus
3. Apthous ulcer
4. Erythema multiformae

Correct answer: 1. Junctional nevus